Azaserine inhibits?
1. Glycinamide ribonucleotide synthetase
2. Glycinamide ribonucleotide transformylase
3. Formyl glycinamide ribonucleotide amidotransferase
4. Inosine monophosphate synthase

Correct answer: 3. Formyl glycinamide ribonucleotide amidotransferase

Explanation: In de novo synthesis of purine nucleotides, there are 10 steps. The 4th step (addition of N3) is catalysed by the enzyme Formyl glycinamide ribonucleotide amidotransferase. This enzyme is inhibited by azaserine, an anticancer drug. Reference: Harpers illustrated biochemistry 30th edition